Which among the following does not cause exaggerated jaw jerk -
1. Multiple sclerosis
2. Motor neurone disease
3. Pseudobulbar palsy
4. Syringomyelia

Correct answer: 4. Syringomyelia